Index of operational efficiency of Malaria ?
1. API
2. ABER
3. Infant parasite rate
4. Spleen rate

Correct answer: 2. ABER

Explanation: Ans. is 'b' i.e., ABER Annual blood examination rate (ABER) is an index of operational efficiency.